Mc Naughten's rule is for -
1. Criminal responsibility
2. Civil responsibilities of the insane
3. Testamentary capacity
4. Capacity of the witness

Correct answer: 1. Criminal responsibility

Explanation: MC naughten's rule is for criminal responsibility of insane.